MONRO's abscess are seen in
1. Pemphigus
2. Lichen planus
3. Leukoplakia
4. Psoriasis

Correct answer: 4. Psoriasis

Explanation: MONRO'S abscesses are seen in psoriasis form of lesions, which include, Psoriasis, Reiter Syndrome, Benign migratory glossitis and ectopic geographic tongue.